True about staphylococcus aureus -
1. Micro aerophilic
2. Produce lemon yellow colonies
3. Grows with 10% Nacl
4. All are true

Correct answer: 3. Grows with 10% Nacl

Explanation: Ans. is 'c' i.e., Grows with 10% Nacl o Staphylococcus is facultative anaerobe. Optimum pH for growth is 7[?]4 - 7[?]6 and optimum temperature is 37degC.o Staph aureus produces golden yellow pigment, which is maximum at 22degC.o Most of the staphylococcus species grow in the presence of 10% NaCl.o On nutrient agar slope there is characteristic Oil paint appearance.o For primary isolation, sheep blood agar is recommended. Human blood should not be used at it may contain antibodies or other inhibitors.Staph aureusStaph epidermidis (also called staph albus) Staph citrus---Golden yellow colonies White colonies Lemon yellow colonies